Genital Warts are seen in:
1. Syphilis
2. Leprosy
3. Buschke Lowenstein tumour
4. TB

Correct answer: 3. Buschke Lowenstein tumour

Explanation: Ans. C i.e. Buschke Lowenstein tumour